Testicular lymphatics drain into -
1. Deep inguinal lymphnodes
2. Internal iliac lymph nodes
3. Para aortic lymph nods
4. Superficial inguinal lymphnodes

Correct answer: 3. Para aortic lymph nods

Explanation: Ans. is 'c' i.e., Para aortic lymph nods o Testicular lymphatics drain into paraaortic and prearotic group of lymph nodes at level of L2.o The lymphatics from the cervix drain into the external iliac, internal iliac and sacral nodes,o Lymphatic Drainage of uterus:Fundus and upper body - aortic nodes and superficial inguinal nodesLower body - external iliac nodesCervix - external iliac, internal iliac and sacral nodes,o Lymphatic drainage of Vagina:Upper 1/3 - external iliac nodesMiddle 1/3 - internal iliac nodesLower 1/3- superficial inguinal nodesOrganDraining Lymph nodeGians Penis & ClitorisRest of PenisDeep inguinal nodes of cloquefQSuperficial inguinal nodesTestis and ovaryPre & Para aortic lymph nodesParotid & ThyroidDeep cervical lymph nodesPharynxDeep cervical & Retropharyngeal lymph n.Palatine tonsilJugulo-diagastric lymph nodesTongue TipAnt 2/3Post 1/3rdSubmental lymph nodesSubmandibular lymph nodesJugulo-omohyoid lymph nodesAll finally reach deep cervical lymph nodesUterus & Cervix* Fundus & upper part of body o Mainly to aortic lymh nodeso Partly to superficial inguinal lymph nodes along round ligamento External iliac lymph nodeso External iliac lymph nodeso Internal iliac lymph nodeso Sacral lymph nodes* Lower part of body* CervixSuprerenal glando Lateral Aortic lymph nodesRectum & Anal Canal above pectinate line Anal canal below pectinate lineo Internal iliac lymph nodeso Superficial inguinal lymph nodes